Fastest acting antithyroid drug is?
1. Potassium iodide
2. Propylthiouracil
3. Carbimazole
4. Cholestyramine

Correct answer: 1. Potassium iodide

Explanation: Ans. is 'a' i.e., Potassium iodide o Iodine is the fastest acting thyroid inhibitor.